Normal portal vein pressure is
1. < 3 mm Hg
2. 3-5 mm Hg
3. 5-10 mm Hg
4. 10 to 12 mm of Hg

Correct answer: 3. 5-10 mm Hg

Explanation: Portal veins carries approximately 75% of blood supply to the liver, formed by the junction of the superior mesenteric and splenic veins behind neck of pancreas's Normal portal vein pressure is 5-10mmHg if there is sustained elevation in the portal venous pressure more than 10mmHg. Reference SRB edition :5 page:614